All of the following statements about Galactorrhea are true, Except:
1. May be Bilateral
2. Associated with lactation
3. Associated with Prolactinomas
4. All statements are true

Correct answer: 2. Associated with lactation

Explanation: Answer is B (Associated with lactation): Galactorrhea is defined as inappropriate secretion of milk containing fluid from the breast. Secretion of milk during lactation is physiological /appropriate and hence can not be termed as Galactorrhea. Galactorrhea may be Bilateral Galactorrhea may arise either unilaterally or bilaterally - Harrison Galactorrhea may be associated with Prolactinomas 'Prolactinomas are the most common pathological cause of Galactorrhea in adolescent of both sexes'. - Current Pediatrics 18th/124